Tumor suppressor genes are all, except:-
1. APC
2. p53
3. Rb
4. C-myc

Correct answer: 4. C-myc

Explanation: C-myc is a proto-oncogene of transcriptional activator category and is associated with Burkitt's lymphoma.